Post Superior Alveolar Nerve is a branch of:
1. Mandibular
2. Facial
3. Lingual
4. Maxillary

Correct answer: 4. Maxillary

Explanation: Posterior superior alveolar nerve is a direct branch of Maxillary Nerve. It supplies mainly the molar teeth. It also supplies the maxillary sinus, gingiva and inner cheek region.